Diagnosis of a man with diffuse hair loss involving crown & frontal scalp with maintenance of frontal hairline –
1. Alopecia areata
2. Anagen effluvium
3. Male pattern baldness
4. Female pattern baldness

Correct answer: 4. Female pattern baldness

Explanation: Information in this question are :-


Diffuse hair loss involving crown and frontal scalp.
Maintenance of frontal hair live.


These two suggest the diagnosis of female pattern hair loss :-


Information (i) above suggests the diagnosis of androgenic alopecia which may be either male pattern or female pattern → Essential feature in both type is patterned hair loss over the crown.
Information (ii) differentiates between two and suggests the diagnosis of female pattern hair loss → frontal hairline is preserved in the female pattern, whereas frontal hairline is lost in male pattern hair loss.


A female pattern of hair loss may be seen in males and a male pattern of hair loss may be seen in females.
So, in this question, a male is showing female pattern baldness.